Which Premolar has prominent transverse ridge
1. Lower 1st premolar
2. Upper 1st premolar
3. Both
4. None

Correct answer: 1. Lower 1st premolar